Amount of fluid to be given to 8 month baby weighing 10 kg with severe dehydration: (Repeat)
1. 100 ml
2. 800 ml
3. 400 ml
4. 1000 ml

Correct answer: 4. 1000 ml

Explanation: Ans: D (1000 ml) Ref: Nelsons Textbook of Pediatrics. 19th Edition & OP GHAI, Textbook of Pediatrics; 7th edition, page: 267Explanation:According to WHO guidelines for management of severe dehydration lOOml/kg of intravenous fluid should be tiiven.AGEFIRST GIVETHEN GIVE<12 months30 ml/kg in 1 hour70ml/kg in 5 hours12months upto 5 years30ml/kg in 30 minutes70 ml/kg in 2 1/2 hoursThe best IV fluid solution is Ringer's lactate. If it is not available 0.9% NaCl or half normal saline can be used.Total fluid to be given is 100 ml/kg10 x 100 = 1000 ml